Genioplasty procedure is used
1. To change the attachment of genioglossus muscle in pre-prosthetic procedure
2. To change the position of genial tubercles
3. To modify the position of the chin
4. To modify the attachment of anterior belly of digastric

Correct answer: 3. To modify the position of the chin